A healthy 3-year-old girl presents with acute onset of petechiae, purpura, and epistaxis. Her Hb 12 g/dl, WBC 5550/mm3, platelet count 2000/mm3. The most likely diagnosis is:
1. ITP
2. ALL
3. Aplastic anemia
4. DIC

Correct answer: 1. ITP

Explanation: Ans. A. Idiopathic thrombocytopenic purpura (ITP)ITP is most commonly seen in previously healthy children, who may have encountered a recent viral infection. Because the pathogenesis involves peripheral destruction of platelets, the BM appears normal and other hemic lineages are not affected (unlike the case for acute leukemia or aplastic anemia). In contrast to patient with ITP, child with DIC usually is extremely ill.